IQ value of Imbecile according to weehsler Intelligence scale
1. 25 - 49
2. 50 - 69
3. 70 - 79
4. 90 - 109

Correct answer: 1. 25 - 49